A 21 year old male presented with short stature & lack of secondary sexual characteristics. He has been operated for brain tumor 12 years ago & underwent cranial radiation. Which of the following is true regarding acquired hypopituitarism due to radiation?
1. At a dose of 50 Gy of radiation, only 5% of patients will manifest hypopituitarism.
2. The majority of patients who develop hypopituitarism after cranial radiation, do so within a year of treatment.
3. Growth hormone is the most common hormonal deficiency.
4. Older adults are at highest risk from radiation-induced hypopituitarism.

Correct answer: 3. Growth hormone is the most common hormonal deficiency.

Explanation: Cranial irradiation may result in long-term hypothalamic and pituitary dysfunction. At a dose of 50 Gy of radiation, up to two-thirds of patients develop hormone insufficiency The development of hypopituitarism occurs over 5-15 years after cranial radiation Growth hormone deficiency is most common, followed by gonadotropin and ACTH deficiency Children and adolescents are at highest risk from radiation-induced hypopituitarism